All of the following arteries take part in the formation of anastomosis around the scapula except
1. Deep branch of transverse cervical artery
2. Suprascapular artery
3. Lateral thoracic artery
4. Circumflex scapular artery

Correct answer: 3. Lateral thoracic artery

Explanation: Anastomosis around the Body of the Scapula-between branches of the first part of the subclavian artery and the branches of the third part of the axillary artery.a.The suprascapular artery, a branch of the thyrocervical trunk b The deep branch of the transverse cervical attety, another branch of the thyrocervical trunk.c. The circumflex scapular artery, a branch of the subscapular artery which arises from the third part of the axillary artery.BD Chaurasia 6th edition (upper limb and thorax) Pg: 73